Search for gestational diabetes is carried out at what gestational age?
1. 16 weeks
2. 20 weeks
3. 28 weeks
4. 32 weeks

Correct answer: 3. 28 weeks

Explanation: Ans, c (28 weeks). (Ref. Textbook of Obstetrics by Dutta, 3rd ed., 292)Note: The actual answer is 24 to 28 weeks.GTT IN PREGNANCY# Screening for gestational diabetes should be done between 24-28 weeks of gestation by using glucose tolerance.# Test - 50 gm oral glucose without regard to time of day and last meal.# Plasma glucose of 140 mg% or 130 mg% of whole blood at 1 hour is considered cut-off point for consideration of 100 gm (WHO 75 gm GTT). TimeWhole blood (mg%)Plasma1Fasting19010521 hr16519032 hr14516543 hr125145